Infidelity & jealousy involving spouse is the thought content of which disorder
1. Capgras syndrome
2. Othello syndrome
3. Hypochondrial paranomia
4. Declerambault's syndrome

Correct answer: 2. Othello syndrome

Explanation: When the content of delusions is predominantly jealousy (infidelity) involving the spouse, it is called as Othello syndrome or conjugal paranoia. Ref: A Short Textbook of Psychiatry, Niraj Ahuja, 7th Edition, pg. no. 84